All of the following are clinical features of myxoma,except -
1. Fever
2. Clubbing
3. Hypertension
4. Embolic phenomenon

Correct answer: 3. Hypertension